An IgG2 molecule is composed of which of the following?
1. One alpha, one gamma, and two kappa chains
2. One gamma1 chain and two kappa chains
3. Two gamma1 chains and one kappa and one lambda chain
4. Two gamma2 chains and two kappa chains

Correct answer: 4. Two gamma2 chains and two kappa chains

Explanation: IgG molecules contain two gamma heavy chains of a given subtype and two light chains (either kappa or lambda). The 2 in IgG2 indicates the subclass to which the molecule belongs. IgG2 contains two gamma2 chains (since a given B cell can only form one type of heavy chain). The IgG molecule will contain either two kappa chains or two lambda chains, but never one of each. A given cell produces immunoglobulin molecules with a single type of heavy chain. IgG molecules with gamma1 chains would be of the IgG1 subclass. Ref: Levinson W. (2012). Chapter 58. Cellular Basis of the Immune Response. In W. Levinson (Ed), Review of Medical Microbiology & Immunology, 12e.